Shortest part of male urethra is :
1. Prostatic
2. Membranous
3. Bulbar
4. Penile

Correct answer: 2. Membranous

Explanation: B i.e. Membranous - Membranous urethra is shortest & Penile urethra is longest part.Prostatic urethra is widest & most dilatable portion & Urethral orifice f/19 membranous urethra is narrowest & least dilatable part